All the following are true about bronchopulmonary aspergillosis except -
1. Central bronchiectasis
2. Pleural effusion
3. Asthma
4. Eosinophilia

Correct answer: 2. Pleural effusion